Tooth discoloration is due to:
1. Acute pulpal abscess
2. Pulpal hyperemia
3. Pulpal death
4. None of the above

Correct answer: 3. Pulpal death